Hemorrhagic meningitis is caused by
1. Streptococcus pneumonia
2. Haemophilus influenzae
3. Bacillus anthracis
4. Neisseria meningitidis

Correct answer: 3. Bacillus anthracis

Explanation: Hemorrhagic Meningitis, also sometimes known as Anthrax Meningitis, occurs when anthrax is inhaled. Bacillus anthracis spreads through the bloodstream from the primary focus of infection causing the Hemorrhagic Meningitis. Ref Harrison20th edition pg 2456